Petterson kelly syndrome is characterized by all EXCEPT:
1. Koilonychia
2. Microcytic hypochromic
3. Iron deficiency anemia
4. Vitamin B12 deficiency anemia

Correct answer: 4. Vitamin B12 deficiency anemia

Explanation: (Vitamin B,2 deficiency anemia) (589-H 16th) (427-CMDT-2009) (570-HI7th)* Presence of an esophageal web in association with glossitis and iron deficiency (Plummer- Vinson or Peterson- kelly syndrome) and congenital hyperkeratosis and pitting of the palms and soles (i.e. tylosis palmaris) have each linked with squamous cell carcinoma of esophagusIron deficiency anemia -* Cheilosis (Fissures at the comer's of the mouth)* Koilonychia (Spooning of the finger nails)* Dysphagia {Plummer, Vinson syndrome)* Microcytic hypochromic {Anemia of chronic disease, thalassemia, sideroblastic anemia)* A ferritin valve less than 30 meg/L is a highly reliable indicator of iron deficiency anemia.